Which of the following does not show iceberg phenomenon ?
1. Rabies
2. Polio
3. JE
4. Mumps

Correct answer: 1. Rabies

Explanation: Ans. is 'a' i.e., Rabies Iceberg phenomenon of disease is not shown by rabies, tetanus and measles.